Features of superior vena cava syndrome are all except which of the following?
1. Facial swelling
2. Hoarseness
3. Aggravation of symptoms in sitting position
4. Syncope

Correct answer: 3. Aggravation of symptoms in sitting position

Explanation: Answer- C. Aggravation of symptoms in sitting positionSuperior vena cava syndrome (SVCS) is the clinical manifestation of superior vena cava (SVC) obstruction, with severe reduction in venous return from the head, neck and upper extremities.Aggravating factors:Bending forward or lying down may aggravate the symptoms.